The length of fallopian tube is :
1. 8-10 cm
2. 10 - 12 cm
3. 15 - 18 cm
4. 18 - 20 cm

Correct answer: 2. 10 - 12 cm

Explanation: 10 - 12 cm